Which of the following issued for qualitative data?
1. Mean
2. Whisker plot
3. Mode
4. Histogram

Correct answer: 3. Mode